A fourteen year old body is admitted with history of fever, icterus, conjunctival suffusion and haematuria for twenty days. Which of the following serological test can be of diagnostic utility -
1. Widal test
2. Microscopic Agglutination Test
3. Paul Bunnell test
4. Weil felix reaction

Correct answer: 2. Microscopic Agglutination Test

Explanation: Ans. is 'b' i.e., Microscopic agglutination test History of fever, jaundice (icterus), bleeding diathesis (conjuctival suffusion) and renal dysfunction (hematuria) are suggestive of Weil's disease (severe Leptospirosis). A definite diagnosis of leptospirosis is based either on isolation of the organism from the patient or on seroconversion or a rise in antibody titer in microscopic agglutination test (MAT).